Isolated deletion of which chromosome causes myelodysplastic syndrome -
1. 2q
2. 5q
3. 8q
4. 11q

Correct answer: 2. 5q